Acetaminophen poisoning causes which of the following changes in the liver?
1. Centrilobular necrosis in liver
2. Microvesicular fatty infiltration in hepatocytes
3. Cholestasis
4. Periportal inflammation

Correct answer: 1. Centrilobular necrosis in liver

Explanation: Acetaminophen poisoning typically causes centrilobular necrosis in liver. Ref: Harrison's Principles of Internal Medicine, 18th Edition, Page 2560, see Table: 305-1.